Congenital Adrenal Hyperplasia is due to deficiency of:
1. 21 beta hydroxylase
2. 17 alpha hydroxylase
3. 5 alpha reductase
4. 17 beta reductase

Correct answer: 1. 21 beta hydroxylase

Explanation: a. 21 beta hydroxylase(Ref: Nelson's 20/e p 2714-2723, Ghai 8/e p 526-527)Most common cause of Congenital Adrenal Hyperplasia is 21 beta hydroxylase deficiency.